The facial space that is divided by styloid process into an anterior and posterior compartment is
1. Pterygomandibular
2. Lateral pharyngeal
3. Retropharyngeal
4. Infratemporal

Correct answer: 2. Lateral pharyngeal